Risk of pneumococcal meningitis is seen in -
1. Post splenectomy patient
2. Patient undergone neurosurgical intervention
3. Patient following cardiac surgery
4. Patient with hypoplasia of lung

Correct answer: 1. Post splenectomy patient